Which of the following reactions is least likely to be observed during orthodontic treatment?
1. Root resorption
2. Devitalization of teeth that are moved
3. Mobility of teeth that are moved
4. Development of occlusal interferences

Correct answer: 2. Devitalization of teeth that are moved

Explanation: Root resorption is common during orthodontic treatment, although lesions often repair on the root surface. Mobility of teeth is also common as the PDL reorganizes and widens during tooth movement. It is uncommon for teeth to become devitalized as a result of orthodontic movement unless they have also been substantially compromised by injury or infection.